The angle of convexity is:
1. SNA
2. ANB
3. NA- Pog
4. SNB

Correct answer: 3. NA- Pog